TI-RADS is a reporting system for thyroid nodules , it is based on the following properties except :
1. Margin
2. Echogenicity
3. Vascularity
4. Shape

Correct answer: 3. Vascularity

Explanation: TI-RADS is a reporting system for thyroid nodules on ultrasound proposed by American College of Radiology. It is based on:1. Composition (cystic-benign/solid-malignant)2. Echogenic foci(macro-calcifications - benign/micro-calcification - malignant)3. Shape (wider than taller - benign / taller than wider - malignant) 4. Margin (well define regular margins - benign/ irregular margins - malignant)5. Echogenicity (anechoic or hyperechoic - benign/ hypoechoic - malignant) Extra edge : Reporting Used for Based on BI-RADS Breast Imaging-Reporting and Data System Breast lesions USG MRI Mammography TI-RADS Thyroid Imaging-Reporting and Data System Thyroid nodules Only based on USG PI-RADS Prostate Imaging-Reporting and Data System Prostate lesions Multi-parametric MRI - T2 weighted imaging - Diffusion weighed imaging - Dynamic contrast enhancement